The active ingredient of X-ray film is -
1. Silver chloride
2. Silver bromide
3. Silver nitrate
4. Gold chloride

Correct answer: 2. Silver bromide

Explanation: An X ray film consists of polyster base ,emulsion,and crystals of Silver Halide.The silver bromide crystals are spread over emulsion that is applied on a polyester base.